A community in sub-African area has a weekly report of 50-60 malarial cases, all in children. No adult case has been reported. This week count of cases is 55. What kind of disease it would be classified as?
1. Epidemic
2. HoloEndemic
3. Hyperendemic
4. Outbreak

Correct answer: 2. HoloEndemic

Explanation: The above given case is an example of endemic disease as the no. of cases are still between the usually expected cases in an area and as only children are affected it is a holoendemic disease. Hyperendemic disease Refers to endemic disease affecting all age groups. It would have been labelled as epidemic if the no. of cases show an abrupt increase than expected cases in an area.